Most specific antibody in SLE is ?
1. Anti nuclear
2. Anti Sm
3. Anti Ro
4. Anti histone

Correct answer: 2. Anti Sm

Explanation: Ans. is 'b' i.e., Anti Sm